The topical use of following local anesthetic is not recommended?
1. Ligocaine
2. Bupivacaine
3. Cocaine
4. Dibucaine

Correct answer: 2. Bupivacaine

Explanation: Bupivacine cannot be used as surface anesthetic agent Bupivacine is also contraindicated in regional IV anesthesia or Bier's block due to fear of cardiac arrhythmia It can be used in peripheral nerve block, epidural and intrathecal routes